Which of the following would help in the bridging the fibrin in a clot and stabilize the clot?
1. Factor XIII
2. Factor V
3. Factor VIII
4. Factor III

Correct answer: 1. Factor XIII

Explanation: Factor XIII is also called fibrin stabilizing factor or Laki-Lorand factor Ref: Ganong 25th ed/page 566